Qt. prolonged is associated with -a) Hyper calcemiab) Type la anti arrythmic drugsc) Torsade de pointesd) Atrial fibrillation
1. a
2. c
3. bc
4. ad

Correct answer: 3. bc